All are grass root worker's except -
1. Anganwardi workers
2. Traditional birth attendants
3. Village health guide
4. Health assistants

Correct answer: 4. Health assistants

Explanation: Village level Village health guide Local dais Anganwadi worker ASHA (refer pgno:902 park 23rd edition)